A new born can lose up to ______ % of birth weight in the first week of life:
1. 6-May
2. 10-Aug
3. 15-Dec
4. >15

Correct answer: 2. 10-Aug

Explanation: Ans. B. 8-10Normally babies lose 8-10% of weight in the first week of life which is regained by 7-10 days of age. Subsequently there should be a gain of 20-40grams/day.This weight loss occurs due to excessive fluid loss.